Not true about aedes mosquito-
1. Are recurrent day time biters
2. Eggs cannot survive more than 1 week without water
3. Transmits dengue fever
4. Prefer breeding in stagnant water

Correct answer: 2. Eggs cannot survive more than 1 week without water

Explanation: Ans. is `b' i.e., Eggs cannot survive more than 1 week without water o In case of aedes agegyti, moisture is a limiting factor for egg survival with surival at higher humidities and eggs may hatch even after 16 weeks at higher humidities About other options o The female aedes arc fearless biters, and they bite chiefly during the day. o They bite repeatedly to have 1-3 blood meals. o Aedes transmits dengue fever. o Aedes prefer artificial collection of water (stagnant water)